Renal dose of dopamine is-
1. 2.5 lig/kg/min
2. 5-10 ug/kg/min
3. 10-20 pg/kg/min
4. 1-2 pg/kg/min

Correct answer: 4. 1-2 pg/kg/min

Explanation: Ans. is 'd' i.e., 1-2 gg/kg/min Dopamine produces dose dependent action: i) At low dose (1-2 ug/kg/min) causes dilation of renal and mesentric vessels often referred as renal dose. ii) At moderately high dose (2-10 ,ug/kg/min) produces a positive ionotropic effect by stimulating [3, receptor on heart cardiac dose. iii) At high doses (> 10 pg/kg/min) produces vasoconstriction by stimulating a, receptors --> vascular dose.